True about Crescent fracture is -
1. Anteroposterior instability with rotational stability
2. Diastasis of pubis with pubic rami fracture
3. Antero-posterior compression is the mechanism of injury
4. Fracture of the iliac bone with sacroiliac disruption

Correct answer: 4. Fracture of the iliac bone with sacroiliac disruption

Explanation: Crescent fracture is lateral compression type II pelvic fracture (for details, read young and Burgess classification from the text of this chapter).